The length of the eye ball is
1. 12 mm
2. 16 mm
3. 20 mm
4. 24 mm

Correct answer: 4. 24 mm

Explanation: D. i.e. 24 mm Antero posterior diameter of eye is 17.5 mm at birth and reaches 24 mm in adultQ Eye Diameter Power Pressure Refractory index Vertical 23 mm Lens +16DQ Goldmann 10.4 - 20. Air 1 Horizontal 23.5 Cornea +44 DQ applantation 4 mmHg Aqueous 1.336 mm Total +60 DQ Schiotz 10.5- 21.7 Humor Anteroposte- 24 New born eye +2.5 Indentation mmHg Vitrous 1.336 nor (adult) mmQ is DQ Humor A-P (birth) 17.5 hypermetropic Cornea 1.376 mm Crystaline 1.386? Circumference 75mm Lens 1.406Q Volume 6.5 ml (cortex? core nucleus) Weight 7 gm